Endothelial cells have -
1. Weibel-Palade bodies
2. Gamna-gandy bodies
3. Both
4. None

Correct answer: 1. Weibel-Palade bodies